Where was the atraumatic restorative treatment first introduced?
1. Tanzania
2. China
3. U.S.A.
4. New Zealand

Correct answer: 1. Tanzania